G-cells are present mostly in- G-cells are present mostly in-
1. Fundus
2. Cardia
3. Pyloric antrum
4. Body

Correct answer: 3. Pyloric antrum

Explanation: Ans. is 'c' i.e., Pyloric antrum